All of the following are features of MEN IIa, except -
1. Pituitary tumor
2. Pheochromocytoma
3. Medullary carcinoma thyroid
4. Parathyroid hyperplasia

Correct answer: 1. Pituitary tumor

Explanation: MEN 2A includes Primary hyperparathyroidism, Medullary carcinoma of thyroid and Pheochromocytoma. MEN 2B syndrome includes medullary carcinoma thyroid, pheochromocytoma along with phenotypic changes including marfanoid habitus, skeletal abnormalities, abnormal dental enamel, multiple mucosal neuromas.Pituitary tumours are a part of MEN 1 (Wermer's )syndrome along with Primary hyperparathyroidism and Pancreatic neuro-endocrine tumours (insulinomas, gastrinomas). Reference : page 795 Davidson's Principles and practice of Medicine 22nd edition and page 829 Textbook of pathology Harshmohan 6th edition